One millimeter decrease in axial length of the eyeball leads to hypermetropia of:
1. 6 dioptres
2. 2 dioptres
3. 3 dioptres
4. 4 dioptres

Correct answer: 3. 3 dioptres

Explanation: Ans. 3 dioptres